All of the following statements regarding the oculomotor nerve are true except
1. It accommodates the eyes
2. It raises the upper eyelid
3. It innervates lateral rectus
4. It constricts the pupil

Correct answer: 3. It innervates lateral rectus

Explanation: Ref:BDC 6th edition pg 361 & 208Oculomotor nerve is the 3rd cranial nerve. It is distributed to extraocular as well as intraocular muscles.It is a somatic motor nerveIt innervates all the extraocular muscles except superior oblique & lateral rectus.The superior oblique is supplied by the Trochlear nerve(4th cranial nerve)The lateral rectus is supplied by Abducent nerve(6th cranial nerve)NOTE:MNEMONICS: Extraocular muscles innervation:"LR6SO4 REST 3"